In ectopic pregnancy decidua is shed as:
1. Decidua vera
2. Decidua basalis
3. Decidua capsularis
4. Decidua rubra

Correct answer: 1. Decidua vera

Explanation: Ans. is a, i.e. Decidua veraRef. Shaw 14/e, p 244Decidua vera is the parietal layer of decidua, that lines most of the uterine cavity.In ectopic pregnancy|Under the hormonal influence of Progesterone and estrogen|Uterine endometrium is converted to|Decidua (similar to Intrauterine pregnancy)|When the ectopic is interruptedLevels of progesterone and estrogen decrease|Withdrawal of support to uterine endometrium|Endometrium (decidua) Shed off in the form of|Decidual cast-The passage of decidual cast is pathognomic of ectopic pregnancy.Q-Chorionic villi are characteristically absent in the decidua.Q-The presence of chorionic villi in the cast however rules out ectopic pregnancy and denotes uterine pregnancy.Also Know:Arias Stella Reaction is characterized by typical adenomatous changes of the endometrial glands seen under the influence of progesterone."It is not specific for ectopic pregnancy but rather indicates the blightening conceptus, either intrauterine or extrauterine" --Dutta Obs 6/e, p 183